Chocolate agar is ?
1. Basal medium
2. Enrichment medium
3. Enriched medium
4. Simple medium

Correct answer: 3. Enriched medium

Explanation: Ans. is 'c' i.e., Enriched medium